Malignant otitis externa results from infection by which of the following organisms
1. Klebsiella
2. Enterococcus
3. Pseudomonas aeroginosa
4. Strep tococcal pneumonia

Correct answer: 3. Pseudomonas aeroginosa

Explanation: Pseudomonas aeroginosa